Germ theory of disease was proposed by
1. Louis Pasteur
2. Robert koch
3. Paul Ehrlich
4. Joseph lister

Correct answer: 1. Louis Pasteur

Explanation: Louis Pasteur proposed :

Principle of fermentation
Pasteurization of milk
Sterilization techniques
Germ theory of disease.